Antiepileptic drug not associated with enzyme induction or inhibition property is ?
1. Phenytoin
2. Valproate
3. Carbamazepine
4. Ethosuximide

Correct answer: 4. Ethosuximide

Explanation: Ans. is 'd' i.e., Ethosuximide